ACR-TIRADS scan for thyroid nodule characteristics include all except
1. Margin
2. Echogenicity
3. Vascularity
4. Shape

Correct answer: 3. Vascularity

Explanation: Ans. (c) VascularityRef: ACR-TIRADS journalACR-TIRADS is based on* Composition* Echogenicity* Shape* Margin* Echogenic FociAll the above findings on USG are given points from 0 to 3 and total score calculated. Based on the total score* TR-1 - Benign: No FNA needed* TR-2 - Not suspicious: No FNA needed* TR-3 - Mildly Suspicious: (FNA if Size >2.5cm and Follow up if Size >1.5cm)* TR-4 - Moderately Suspicious (FNA if Size >1.5cm and Follow up if size >1cm)* TR- 5 - Highly Suspicious (FNA if Size >1cm and Follow up if size >0.5cm)